All of the following statements about Penicillin Binding Proteins (PBPs) are true, EXCEPT:
1. PBP's are essential for cell wall synthesis
2. PBP'S are localized on the outer face of cell wall
3. PBP's act as carboxypeptidases and traspeptidases
4. Alteration in PBP's is the primary bases of resistance in MRSA

Correct answer: 2. PBP'S are localized on the outer face of cell wall

Explanation: Penicillin Binding Proteins (PBP) catalyse an important step in bacterial cell wall synthesis i.e transpeptidase reaction which remove a terminal alanine in a cross linking reaction with a nearby peptide. It act as carboxy peptidase and transpeptidase. They are found in the cell membranel. Penicillin bind to this protein and inhibit its activity. Ref: Textbook of Pulmonary Medicine By D. Behera, Page 248, 252; Lippincott's Pharmacology, 4th Edition, Page 360.